Fibrinogen degradation products help in detection of:
1. Haemophilia
2. DIC
3. TTP
4. Thrombosthenia

Correct answer: 2. DIC

Explanation: Disseminated intravascular coagulation- Multiple coagulation factors are consumed and are therefore deficient. Plasminogen bound to platelet-fibrin thrombi is converted to plasmin by plasminogen activators. Plasmin cleaves fibrinogen as well as fibrin to generate fibrin degradation products (FDPs). TTP and HUS Activation of the coagulation cascade is not of primary importance, Hence laboratory tests of coagulation, such as the PT and PTT, are usually normal.